Most common malignant tumor of kidney in children is:
1. Renal cell carcinoma
2. Mesoblastic nephroma
3. Wilm's tumour
4. None of the above

Correct answer: 3. Wilm's tumour

Explanation: Wilms' tumor is the most common primary malignant tumor of the kidney in children. Ref: Schwartz's principle of surgery 9th edition, chapter 39.